Oval cells are bipotential progenitors of which of the following?
1. Lung
2. Liver
3. Brain
4. Heart

Correct answer: 2. Liver

Explanation: The liver contains stem cells/progenitor cells in the canals of Hering, the junction between the biliary ductular system and parenchymal hepatocytes. Cells located in this niche can give rise to a population of precursor cells known as oval cells, which are bipotential progenitors, capable of differentiating into hepatocytes and biliary cells. Ref: Robbins 8th edition Chapter 3.